Low-birth weight baby is the one with birth weight is less than -
1. 1000 grams
2. 1500 grams
3. 2000 grams
4. 2500 grams

Correct answer: 4. 2500 grams

Explanation: A low birth wright infant is any infant with a birth weight less than 2.5kg regardless of gestational age.REF.PARK'S TEXTBOOK OF PREVENTIVE AND SOCIAL MEDICINE.Editon-21.Page no.-494